Calcium Gluconate is not used in CPR by
1. Hypocalemia
2. Hypokalemia
3. Hyperkalemia
4. Calcium antagonism

Correct answer: 2. Hypokalemia